Parotid duct opens
1. Opposite 1st mollar
2. Opposite 2nd molar
3. Into the papilla
4. Opposite incisor

Correct answer: 2. Opposite 2nd molar

Explanation: The duct runs forwards for a short distance between the buccinator and the oral mucosa. Finally, the duct turns medially and opens into the vestibule of the mouth opposite to the crown of upper second molar tooth. REF.BDC SIXTH EDITION VOL NO:3 PAGE NO:110